Which nerve is responsible for reffered pain of the ear -
1. IX N.
2. III N
3. XI N.
4. XII N

Correct answer: 1. IX N.